Which one of the following is the drug of choice for treating systemic fungal infection ?
1. Griseofolvin
2. Amphotericins
3. Ketoconazole
4. trimoxazole

Correct answer: 2. Amphotericins

Explanation: Amphotericin B is an antifungal medication used for serious fungal infections and leishmaniasis. The fungal infections it is used to treat include aspergillosis, blastomycosis, candidiasis, coccidioidomycosis, and cryptococcosis. For certain infections it is given with flucytosine Ref Harrison20th edition pg 1078